Which of the following layer of epithelium of oral mucous membrane is most sensitive to radiation?
1. Stratum spinosum
2. Stratum granulosum
3. Stratum basale
4. Stratum corneum

Correct answer: 3. Stratum basale

Explanation: The oral mucosa contains a basal layer composed of rapidly dividing, radiosensitive progenitor cells.
Key Concept:
Rapidly dividing cells are more susceptible to radiation therapy.
White and Pharoah's Oral Radiology Principles and Interpretation 8th edition